Most common nerve injured in fracture humerus is
1. Axillary
2. Ulnar
3. Radial
4. Median

Correct answer: 3. Radial

Explanation: (C) Radial